All of the following blood vessels are a part of Kiesselbachfs plexus except-
1. Anterior Ethmoidal artery
2. Posterior ethmoidal artery
3. Greater palatine artery
4. Superior labial artery

Correct answer: 2. Posterior ethmoidal artery

Explanation: Ans. is 'b' i.e., Posterior ethmoidal artery o Four arteries contribute to little's area:# Anterior ethmoidal artery# Septal branch of superior labial artery (Branch of facial A).# Septal branch of sphenopalatine artery (Branch of maxillary A).# Greater palatine artery (Branch of maxillary A).o These arteries anastomose to form a vascular plexus called "Kiesselbach's plexus".